With respect to ticlopidine, clopidogrel :
1. Is more likely to cause formation of antiplatelet antibodies
2. Is less likely to cause neutropenia
3. Is more likely to cause severe bleeding
4. Has a greater antiplatelet effect

Correct answer: 2. Is less likely to cause neutropenia